Which of the following statements is true about presynaptic inhibition?
1. It results due to failure of the action potential to reach the synapse
2. It occurs due to hyperpolarisation of presynaptic membrane
3. It occurs due to inhibition of release of neurotransmitter from presynaptic terminal
4. It occurs due to blockade of neurotransmitter receptors

Correct answer: 3. It occurs due to inhibition of release of neurotransmitter from presynaptic terminal

Explanation: presynaptic inhibition into two categories: (1) inhibition mediated by axo-axonic or dendro-axonic projections (i.e., a third party interferes with the transmission of synaptic responses between a synaptically coupled pair of two neurons), which we may describe as heterosynaptic inhibition; and (2) inhibition mediated by the release of neurotransmitter from the active presynaptic terminal itself, or autoreceptive inhibition Ref: guyton and hall textbook of medical physiology 12 edition page number:546,547,548